Hypoplasia of limbs and scarring is caused due to:
1. Varicella
2. Herpes simplex
3. Rubella
4. Toxoplasma

Correct answer: 1. Varicella

Explanation: Ans. a. Varicella The association of limb reduction defects with scarring of skin suggests the diagnosis of congenital varicella syndrome."Congenital Varicella syndrome is characteristically associated with limb reduction defects (if infection occurs prior to limb bud formation) and scarring of skin."Congenital VaricellaLimb reduction defects (Limb hypoplasia)Scarring of Skin (Cicatricial skin lesions)* Limb reduction defects are seen if infection occurs prior to or during limb bud formation.* The virus has a tendency to select tissues that are in a rapid development stage such as the limb buds.* Fetus infected at 6-12 weeks of gestation appears to have maximal interruption with limb development.* This may result in 1 or more shortened and malformed extremities* The remaining of the torso may be entirely normal in appearance.* Scarring of skin is a common feature of congenital varicella syndrome.* The characteristic cutaneous lesion has been called a 'Cicatrix'* Cicatrix' represents zigzag scarring in a dermatomai distribution (and is often associated with atrophy of the affected limb)